Oxygenated blood from placenta goes to fetal heart via:
1. Ductus arteriosus
2. Ductus venosus
3. Foramen ovale
4. Umbilical artery

Correct answer: 2. Ductus venosus

Explanation: Ans. (b) Ductus venosusRef: D.C. Dutta 8th ed. / 36; William's Obstetrics 23rded, Ch: 4* Ductus venosus carries oxygenated blood from placenta and drains into IVC.* Ductus arteriosus is a connection between aorta and pulmonary arteries, thereby bypassing lung. Persistence of ductus arteriosus leads to a congenital heart condition called Patent Ductus Arteriosus.* Foramen ovale is connection between right atrium and left atrium.* Umbilical artery carries deoxygenated blood from fetus to mother.Also KnowImportant vessles and their remnantsDUCTUSVENOSUSLigamentum VenosumDUCTUS ARTERIOSUSLigamentum arteriousmUmbilical ArteriesMedial umbilical arteryLeft umbilical veinLigamentum Teres of Liver